Costochondral joint is an example of
1. Fibrous joint
2. Primary cartilaginous joint
3. Secondary cartilaginous joint
4. Synovial joint

Correct answer: 2. Primary cartilaginous joint

Explanation: Primary Cartilaginous joint The bones are united by a plate of hyaline cartilage so that the joint is immovable and strong These joints are tempory in nature because after a certain age the cartilaginous plate is repalced by bone (synostosis) Ref :BD CHAURASIA S Handbook of General Anatomy Fourth edition Page no 63